All of the following drugs can induce Methemoglobinemia, except -
1. Nitroglycerine
2. Procaine
3. Prilocaine
4. Phenytoin

Correct answer: 4. Phenytoin

Explanation: Ans. is 'd' i.e., Phenytoin Substances or drugs causing Methemoglobinemia 1. Aniline and its derivatives 2. Aminophenols 3. Aminophenones 4. Chlorates 5. Dapsone 6. Local anaesthetics - Prilocaine, Benzocaine 7. Nitrites9. Naphthalene 8. Nitrates (Nitroglycerine is included in nitrates) 10. Nitrobenzenes and related compounds 11 . Oxides of Nitrogen 12. Phenazopyridine 13. Primaquine and related antimalarials 14. Sulfonamides